It is difficult to obtain local infiltration anesthesia in the presence of inflammation because of
1. a decreased PH
2. increased vascularity
3. oedema
4. pain

Correct answer: 1. a decreased PH